Dalrymple’s sign is seen in
1. Thyroid ophthalmopathy
2. Orbital cellulitis
3. Choroidal melanoma
4. Posterior Vitreal detachment

Correct answer: 1. Thyroid ophthalmopathy

Explanation: o Ocular signs of thyroid ophthalmopathy
i) Bilateral exophthalmos with associated exposure keratitis.
ii) Dalrymple’s sign - There is peculiar stare due to retraction of the upper lid.
iii) Von Graefe’s sign - Upper lid lags on downward movments of the eyeball.
iv) Stellwag’s sign - There is infrequent and incomplete blinking.
v) Mobius’s sign - There is weakness of convergence .
vi) Jellinek’s sign - There is increased pigmentation of lids.
vii) Joffroy’s sign - There is poor forehead wrinking on looking up
viii) Enroth’s sign - Fullness of eyelids (Puffy edematous).
ix) Grifford’s sign - Difficulty in eversion of upper lid